The syndromic management of urethral discharge includes treatment of –
1. Neisseria gonorrhoeae and herpes genitalis
2. Chlamydia trachomatis and herpes genitalis
3. Neisseria gonorrhoeae and chlamydia trachomatis
4. Syphilis and chancroid

Correct answer: 3. Neisseria gonorrhoeae and chlamydia trachomatis

Explanation: Approach to patient with urethral discharge